The first H2 receptor blocker was synthesized in 1972 by –
1. Asch and Child
2. Sir James Black
3. Gaddum and Picarelli
4. Vane

Correct answer: 2. Sir James Black

Explanation: Sir James Black. He synthesized the first H2 blocker burimamide; and subsequently cimetidine.
Asch and Child classified histamine receptors into H1 and H2.
Gaddum and Picarelli classified serotonin receptors into D type and M type.
Vane observed that aspirin acts by inhibiting PG synthesis.